HBV all true, except -
1. It is a DNA virus
2. Spreads by blood transfusions
3. HBs Ag marker on infection
4. Least chance of chronicity

Correct answer: 4. Least chance of chronicity

Explanation: HBV transmission by parenteral sexual and perinatal modes.HBsAg is the 1st marker to appear in blood after infection. HBV consist of two linear strands of DNA. REF:ANANTHANARAYAN AND PANIKER'S TEXTBOOK OF MICROBIOLOGY 9TH EDITION PAGE NO:544-546